Most common hymen tear in sexual assault is
1. Posterolateral
2. Anterior
3. Anterolateral
4. Posteromedial

Correct answer: 1. Posterolateral

Explanation: Ans. is 'a' i.e., Posterolateral * In virgin rupture (tears) of hymen due to sudden stretching occurs in posterior half of membrane usually at the sides (i.e. posterolaterally) in 4 or 8'0 clock or 5 or 7'0 clock position, or in the midline of hymen (6'0 clock position).* Posterolateral rupture is more common than posterior rupture.Position of rupture of hymenReason of rupture5 - 7 O'clockSexual intercourse11-1 O'clockMasturbation